A crush injury of the vertebral column can cause the spinal cord to swell. Which structure would be trapped between the dura and the vertebral body by the swelling of spinal cord?
1. Anterior Longitudinal Ligament
2. Alar Ligament
3. Posterior Longitudinal Ligament
4. Cruciform Ligament

Correct answer: 3. Posterior Longitudinal Ligament

Explanation: The Posterior Longitudinal Ligament interconnects the vertebral bodies and intervertebral disks posteriorly and runs anterior to the spinal cord within the vertebral canal. The Ligamentum Nuchae is formed by supraspinous ligaments that extend from the seventh cervical vertebra to the external occipital protuberance and crest. The Anterior Longitudinal Ligament runs anterior to the vertebral bodies. The Alar and Cruciform Ligaments also lie anterior to the spinal cord. fig:- vertebral column and ligaments